Which of the following is an ionophore?
1. Carboxin
2. 2, 4 dinitrophonal
3. Atractiloside
4. Valinomycin

Correct answer: 4. Valinomycin

Explanation: Valinomycin: It produced by a type of Streptomyces. Transports K+ from the cytosol into matrix and H+ from matrix to cytosol, thereby decreasing the proton gradient.so it is an ionophore.Ref: MN Chatterjea Textbook of Medical Biochemistry, 8th edition, page no: 146